All are elevators of mandible except
1. Temporalis
2. Medial pterygoid
3. Masseter
4. Digastric

Correct answer: 4. Digastric

Explanation: Digastric muscle has two bellies united by an intermediate tendon ORIGIN- a.Anterior belly from digastric fossa of mandible b.Posterior belly from mastoid notch of temporal bone INSEION-Both heads meet at the intermediate tendon which perforates SH and is held by a fibrous pulley to the hyoid bone NERVE SUPPLY- a.Anterior belly by nerve to mylohyoid b.Facial nerve ACTIONS- a. Depress mandible when mouth is opened widely or against resistance; it is secondary to lateral pterygoid b.Elevates hyoid bone Ref BDC volume 3,sixth edition pg 132